Total skin electron irradiation is used for of
1. Sezary syndrome
2. Mycoses fungoides
3. Psoriasis
4. Brain metastasis of skin cancer

Correct answer: 2. Mycoses fungoides

Explanation: B i.e. Mycoses fungoides Mycosis fungoides is an indolent cutaneous T - cell lymphomaQ with patients often having several years of eczematous or dermatitis skin lesion before the diagnosis is finally established. But the disorder is inevitably fatalQ, although the rate of progression is quite variable. Mycosis Fungoides and Sezary Syndrome are T-Cell neoplasmQ. Mycosis fungoides (a T Cell malignancy) has skin manifestations like uicatia, erythema, eczema, itching & liard nodules which later on ulcerate containing fungating granulation. Pauterier's microabscessQ is histological features of mycosis fungoides. TOC is electron beam radiationQ